Difference between incised wound and heat rupture favoring heat rupture are:
1. Margins well-defined
2. Small and multiple wounds
3. Nerves and vessels are visible in floor
4. Seen only over scalp

Correct answer: 3. Nerves and vessels are visible in floor

Explanation: Ans. Nerves and vessels are visible in floor